Most likely affected organ in Mayer Rokitansky Kuster Hauser syndrome is
1. Ovary agenesis
2. Vaginal agenesis
3. Fallopian tubes absent
4. Bicornuate uterus

Correct answer: 2. Vaginal agenesis

Explanation: Mayer-Rokitansky-Kuster-Hauser syndrome includes vaginal agenesis with variable mullerian duct abnormalities accompanied in some cases by renal, skeletal, and auditory abnormalities.Berek and Novak's Gynecology; 15th edition; Chapter 30; Amenorrhea